Consumption of raw egg white in the diet may result in the deficiency of:
1. Riboflavin
2. Biotin
3. Thiamine
4. Pyridoxine

Correct answer: 2. Biotin